Which of the following procedures is routine technique for karyotyping using light microscopy:
1. C-banding
2. G-banding
3. Q-banding
4. V-staining

Correct answer: 2. G-banding

Explanation: G-banding which includes staining with Giemsa is the most common technique used for karyotyping Q-banding- fluorescent pattern obtained using quinacrine for staining C-banding- selective chromosome stain in which Giemsa stain is used to stain heterochromatic regions close to the centromeres V-staining- method for detecting apoptotic cells.